The electronic probing system "Foster Miller Probe" detects:
1. Only the pocket depth
2. Only the CEJ
3. CEJ and pocket depth
4. Furcation involvement

Correct answer: 3. CEJ and pocket depth